B-ring in oesophagus is found at?
1. Junction of cervical esophagus and cricopharyngeus
2. Gastro-esophageal junction
3. Junction of upper 1/3rd and middle 1/3rd of esophagus
4. Junction of cricopharyngeus and upper 1/3rd of esophagus

Correct answer: 2. Gastro-esophageal junction

Explanation: B- ring - Schatzki ring * Lower 1/3rd esophageal mostly at the Gastro - esophageal junction * LE Ring < 13mm * Aphagia/ Food impaction